Which of the following is feminizing ovarian tumours :
1. Granulosa cell tumour
2. Arrhenoblastoma
3. Hilus cell tumour
4. Gynandroblastoma

Correct answer: 1. Granulosa cell tumour

Explanation: Granulosa cell tumour